Sweet's syndrome includes all except
1. Fever
2. Lymphadenopathy
3. Erythematous skin lesions
4. Arthralgia or raised ESR

Correct answer: 2. Lymphadenopathy

Explanation: There is no lymphadenopathy